Neuromuscular blocking agent with duration of onset of action less than 2 minutes is
1. D-tubocuraine
2. Succinyl choline
3. Pancuronium
4. Gallamine

Correct answer: 2. Succinyl choline